Which of the following Antihypertensive is preferred in cases of comorbid Diabetes Mellitus
1. Nitrates
2. ACE inhibitors
3. β - blockers
4. Calcium channel blockers

Correct answer: 2. ACE inhibitors

Explanation: ACE inhibitors are the drug of choice for Hypertension with Diabetes Mellitus.